For every 1,00,000 population, the highest prevalence of blindness in theworld is seen in -
1. Sub-Saharan Africa
2. South Asia
3. Eastern Europe
4. Latin America

Correct answer: 1. Sub-Saharan Africa

Explanation: About 90% of the world's blinds live in developing countries and around 60% of the residing sub Saharan Africa , China and India. Ref- Park's textbook of Preventive and social medicine 24th edition. .